Eosinophilia in necrosed tissue is due to
1. Coagulation of proteins
2. Denaturation of enzymes
3. Denaturation of protein
4. Mitochondrial damage

Correct answer: 3. Denaturation of protein

Explanation: Ans. is 'c' i.e., Denaturation of protein Necrotic cells show increased eosinophilia in hematoxylin and eosin (H & E) stains. It is due to - Loss of cytoplasmic RNA (or ribonucleoprotein/RNP) which binds the blue dye, hematoxylin. Denatured cytoplasmic proteins which bind the red dye, eosin.